SRK formula is used to calculate-
1. Power of intraocular lens
2. Corneal curvature
3. Corneal endothelial cell count
4. Extent of retinal detachment

Correct answer: 1. Power of intraocular lens

Explanation: Ans. is 'a' i.e., Power of intraocular lens SRK formula* Power of IOL = A - 2.5L -0.9K* L is axial length of the eyeball in mm* A is IOL specific constant* K is average corneal refractive power